Recurrent fibroma refers to Desmoid tumor arising in
1. Uterus
2. Scar tissue
3. Ovary
4. Muscle

Correct answer: 2. Scar tissue